Which of the following does not need magistrate's inquest-
1. Death in police custody
2. Dowry deaths
3. Exhumation
4. Death by suicide

Correct answer: 4. Death by suicide

Explanation: Ans. is 'd' i.e., Death by suicide o Magistrate's inquest is done under sec 176 CrPC is case of Death in prison, reformatories, Borstal school. Death in police costody while under police interrogation. Death due to police firing. Dowry death; i.e. death of a married female less than 30 years of age or death within 7 years of marriage. Exhumation. Death in psychiatry hospital. Custodial rape. o Police inquest is done in cases of Death by suicide. Death by killing by another person (murder ) or an animal or machinery. Death by accident. Death under circumstances raising a reasonable suscpicion that some other person has commited an offence.